Oedipus complex (given by Sigmund Freud) is seen in -
1. Boys of 1 - 3 years of age
2. Girls of 1 - 3 years of age
3. Boys of 3 - 5 years of age
4. Girls of 3 - 5 years of age

Correct answer: 3. Boys of 3 - 5 years of age

Explanation: Characteristic of phallic (oedipal) phase (3-5 years)

In boys → Castration anxiety, Oedipus complex.
In girls → Penis envy, Electra complex.